Which of the following physiological function is associated with 'otolith organs'?
1. Sense gravity and Linear acceleration
2. Linear acceleration only
3. Growth only
4. Related to hearing

Correct answer: 1. Sense gravity and Linear acceleration

Explanation: The labyrinth has three components: Cochlea (containing receptors for hearing), Semicircular canals (containing receptors that respond to head rotation) Otolith organs (containing receptors that respond to gravity and head tilt i.e., linear acceleration). The otoliths, which are also called otoconia or ear dust, range from 3 to 19 micrometer in length. They are crystals of calcium carbonate embedded in otolithic membrane. .